Airway resistance
1. Is increased if the lungs are removed and inflated with saline.
2. Does not affect the work of breathing.
3. Is increased in paraplegic patients.
4. Is increased in asthma.

Correct answer: 4. Is increased in asthma.

Explanation: If the air flow becomes turbulent during rapid respiration, the energy required to move the air is greater than when the flow is laminar.